Intraepidermal lgG deposition is seen in
1. Pemphigus
2. Bullous pemphigoid
3. Herpes genitalis
4. SLE

Correct answer: 1. Pemphigus

Explanation: Pemphigus